Mansonoides mosquito transmits the following disease -
1. Bancroftian filariasis
2. Brugian filariasis
3. Malaria
4. Dengue

Correct answer: 2. Brugian filariasis

Explanation: Mansonoide mosquito transmits Brugian filariasis. They are big, black mosquitoes with speckling on their wings and legs. They breed in ponds and lakes containing aquatic plants. Eggs are laid in star-shaped clusters on the undersurface of water plants. Their control is easy by removal or destruction of aquatic host plants by herbicides. Park's Textbook of Preventive and Social Medicine, 25th Edition, Pg 831